Nerve not carrying taste sensation from tongue
1. V
2. VII
3. IX
4. X

Correct answer: 1. V

Explanation: Trigmenial nerve does not carry taste sensation from tongue. Taste from tongue is medicated by chorda tympani nerve, a branch of facial nerve.